All are true about septic shock in children except –
1. 1st response is ↑ C.O. due to vasodilatation
2. Hypotension is a late sign
3. Heart rate remains same
4. ↓ Peripheral vascular resistance

Correct answer: 3. Heart rate remains same

Explanation: Septic shock in children

Septic shock is an inflammatory state resulting from a systemic response to bacterial infection.
The decrease in peripheral resistance (vasodilatation) is the hallmark of early (hyper dynamic) stage of septic shock, this feature distinguishes it from other types of shock. Decreased peripheral resistance (vasodilatation) leads to a compensatory increase in cardiac output; therefore, cardiac output is maintained or some time increased despite of shock.
Decreased peripheral resistance and increased cardiac output lead to increased blood flow and total oxygen delivery to the tissue. But, still, the tissues lack O2 due to local microcirculatory changes produced as a result of sepsis which causes decrease tissue extraction of oxygen. So, increased blood flow and cardiac out are still inadequate to meet the total metabolic needs of the tissue which are increased in sepsis.
As sepsis progresses, hypo dynamic stage supervenes in which there is decreased cardiac output and increased peripheral resistance.
So, hemodynamic changes in septic shock occur in two characteristic patterns, Early hyperdynamic and late hypo dynamic shock

1) Early hyperdynamic shock

Hypotension is a late feature of septic shock and early hyperdynamic stage is characterized by normal or increased BR
Other features are : -
Tachycardia                                                                
Normal or increased cardiac output                       
Tachypnea    
Warm extremities 
Decreased systemic vascular resistance   
Increased pulmonary vascular resistance                                  

2) Late hypo dynamic stage

Decreased cardiac output                                         
Hypotension                                                             
Increased vascular resistance           
Cool, mottled and often cyanotic extremities     
Oliguria, renal failure   
Hypothermia